Condition associated with obesity are all except -
1. Pheochromocytoma
2. Hypothyroidism
3. Insulinoma
4. Cushing's syndrome

Correct answer: 1. Pheochromocytoma